When ICF and ECF of child becomes equal to adult person -
1. 1 year
2. 2 year
3. 3 year
4. 4 year

Correct answer: 1. 1 year

Explanation: Ans. is 'a' i.e., 1 year o In fetus, ECF is much larger than ICF. o By the age of 1 year, ratio of ICF to the ECF volume approaches adult level.